Superficial mallory weiss tear heals completely within:
1. 1 week
2. 48 hours
3. 24 hours
4. 72 hours

Correct answer: 2. 48 hours

Explanation: Mallory-Weiss tears Mucosal or submucosal lacerations that occur at the gastroesophageal junction. Patients present with hematemesis or coffee-ground emesis. All will have a history of recent non-bloody vomiting followed by hematemesis. The tear is due to increased intra-abdominal pressure, in combination with a shearing effect caused by negative intrathoracic pressure. The bleeding is self-limited and mild. Superficial Mallory-Weiss tears can heal completely within 48 hours. Ref: Sleisenger and Fordtran's, E-9, P-299.